Secretion of estrogen is maximum at
1. Just before menopause
2. At puberty
3. At menstruation
4. Before ovulation

Correct answer: 4. Before ovulation

Explanation: Estrogen is a generic term for any of the estrus-producing compounds (female sex hormones), including estradiol, estriol, and estrone. Called also estrogenic hormone. In humans, the estrogens are formed in the ovary, adrenal cortex, testis, and fetoplacental unit, and are responsible for female secondary sex characteristic development, and during the menstrual cycle, act on the female genitalia to produce an environment suitable for fertilization, implantation, and nutrition of the early embryo.Ref: Ganong's review of medical physiology; 24th edition; page no: 405